A 59-year-old man is admitted to the emergency department with acute pain on his mandible. An MRI examination reveals an acute inflammation of the TMJ due to arthritis. Which of the following muscles will most likely be affected by the inflammatory process of the TMJ?
1. Temporalis
2. Medial pterygoid
3. Masseter
4. Lateral pterygoid

Correct answer: 4. Lateral pterygoid

Explanation: Part of the lateral pterygoid muscle has its insertion on the articular disk within the TMJ and would be most affected by the inflammation of this joint. The temporalis muscle inserts upon the coronoid process and retracts the jaw. The medial pterygoid muscle extends from the medial surface of the lateral pterygoid plate to the mandible and functions in elevation of the jaw. The masseter extends from the zygomatic arch to the lateral ramus of the mandible and elevates the jaw. The buccinator pulls back the angle of the mouth and flattens the cheek.